Xeroderma pigmentosum is caused due to:
1. DNA synthesis defect
2. Ectodermal cell migration defect
3. Abnormal nucleotide excision repair
4. Melanocyte proliferation

Correct answer: 3. Abnormal nucleotide excision repair

Explanation: Xeroderma pigmentosum (XP) is a rare autosomal recessive disease characterized by photosensitivity, pigmentary changes, premature skin ageing, neoplasia and abnormal Nucleotide excision repair. Ref: Rook's textbook of dermatology, 8th edition, Pg15.71.